Neonatal period extends up to:
1. 21 days of life
2. 30 days of life
3. 28 days of life
4. 35 days of life

Correct answer: 3. 28 days of life

Explanation: c. 28 days of life(Ref: Nelson's 20/e p 789-791, Ghai 8/e p 124-125)Neonatal period extends from birth to under 4 weeks (<28 days) of age, of which early neonatal period refers to 1st week of life (<7 days)